Comedo nevus is which type of epidermal nevus ?
1. Keratinocytic
2. Verrucous
3. Inflammatory
4. Appendegeal

Correct answer: 4. Appendegeal

Explanation: Ans. is 'd' i.e., Appendageal [Ref : IADVL textbook of dermatology 3'd/e p. 175) Types of epidermal nevusKeratinocytic r Verrucous epidermal nevus, linear epidermal nevus.Organoid (appendageal); Nevus sebaceous, nevus comedonicus, eccrine nevi, apocrine nevi, Becket's nevus.